Xpert MTB/RIF test is used to detect
1. For assessing resistance to isoniazid
2. For assessing multi drug resistant TB
3. For assessing rifampicin resistance
4. Monitoring drug response in MDR TB

Correct answer: 3. For assessing rifampicin resistance